The cell with increased mitotic rate and resembling the undifferentiated mesenchymal cells of the same origin is:
1. Anaplastic
2. Dysplastic
3. Metaplastic
4. Hyperplastic

Correct answer: 1. Anaplastic